The capsule of Streptococcus pyogenes is made up of
1. Hyaluronic acid
2. Polysaccharide
3. Polypeptide
4. Glycopeptides

Correct answer: 1. Hyaluronic acid

Explanation: Virulence factors of Streptococcus pyogenes: Cell wall associated factors: Capsule Carbohydrate antigen Protein antigen A carbohydrate-based streptococcal capsule composed of hyaluronic acid surrounds the bacterium, protecting it from phagocytosis by neutrophils. It is not antigenic in human beings. The cell wall is composed of an outer layer of protein and lipoteichoic acid, a middle layer of group-specific carbohydrate and an inner layer of peptidoglycan. The peptidoglycan is responsible for cell wall rigidity. It also has some biological properties such as pyrogenic and thrombolytic activities. Reference: Textbook of Microbiology; Anathanarayan and panicker's;10th edition; Page no: 212